Which of the following anti-HIV drug should never be given as rechallenge once a history of producing allergic reaction with the drug is known
1. Lamivudine
2. Abacavir
3. Zidovudine
4. Nelfinavir

Correct answer: 2. Abacavir